Which is not affected in lesion of posterior column of spinal cord ?
1. Romberg's sign
2. Temperature sense
3. Vibration sense
4. Ataxia

Correct answer: 2. Temperature sense